Helicobacter pylori is not associated with ?
1. Gastrointestinal lymphoma
2. Gastric cancer
3. Gastric leiomyoma
4. Peptic ulcer

Correct answer: 3. Gastric leiomyoma

Explanation: Ans. is 'c' i.e., Gastric leiomyoma